In acoustic neuroma, cranial nerve to be involved earliest is
1. 5
2. 7
3. 9
4. 10

Correct answer: 1. 5

Explanation: The earliest cranial nerve to be involved is V nerve causing reduced corneal sensitivity. Ref: Textbook of diseases of ENT, PL Dhingra, 7th edition, pg no. 125